Migratory motor complex is initiated by-
1. Gastrin
2. Motilin
3. CCK
4. VIP

Correct answer: 2. Motilin

Explanation: Ans. is 'b' i.e., Motilin Migratory motor complexes* The gastric antrum shows bursts of propulsive (peristalitic) muscular activity every 90 minutes.* The activity is conducted along the entire length of the small intestine, from stomach to distal ileum, at a rate of about 5 cm per minute. As soon as the activity reaches the terminal ileum, a new wave begins in the stomach.* The purpose of MMC is to clear the stomach and small intestine of luminal contents in preparation for the next meal.* The MMCs are initiated by motilin